Quiscence of the uterine musculature is :
1. Enhanced by progesterone
2. Enhanced by oestrogen
3. Inhibited by Progesterone
4. Enhanced by oestrogen and inhibited by progesterone

Correct answer: 1. Enhanced by progesterone

Explanation: Progesterone is responsible for maintaining quiscence (relaxation) of uterine musculature This function of progesterone has been put to use for prevention of abortions: oral, injectable or vaginal micronised progesterones prevention of preterm labour in patients with high risk of preterm delivery like those with past history of preterm delivery, cervical encirclage, uterine anomalies, threatened preterm etc